Tyrosine enters gluconeogenesis by forming which substrate
1. Succinyl CoA
2. Alpha - ketoglutarate
3. Fumarate
4. Citrate

Correct answer: 3. Fumarate

Explanation: Sources of Gluconeogenesis uGluconeogenesis is the process by which glucose molecules are produced from non-carbohydrate precursors. uNon carbohydrate precursors include lactate, glucogenic amino acids, glycerol part of fat and propionyl CoA derived from odd chain fatty acids. DM Vasudevan , Textbook of Biochemistry for Medical Students , 7th ed, page 119